E- cadherin mutation is seen in which type of carcinoma:
1. IDC
2. Lobular carcinoma
3. Metabplastic carcinoma
4. Metastasis

Correct answer: 2. Lobular carcinoma

Explanation: Loss of E cadherin can contribute to malignant phenotype by allowing easy disintegration of cell which can then invade locally and metastasize. Reduced cell surface expression of E cadherin has been noted in many carcinomas : Stomach carcinoma Breast carcinoma Prostate carcinoma Ovarian carcinoma